In Weber's syndrome there is:
1. 3rd nerve palsy
2. 4th nerve palsy
3. 5th nerve
4. 7th nerve

Correct answer: 1. 3rd nerve palsy

Explanation: Ans. 3rd nerve palsy